Osteitis may be seen as a side effect of:
1. Hepatitis B vaccine
2. BCG
3. Measles vaccine
4. IPV

Correct answer: 2. BCG

Explanation: Side effects of BCG vaccine Local ulceration Discharging sinus Axillary lymphadenitis In immunocompromised pt - Disseminated infection, osteomyelitis, scrofuloderma are seen OTHER OPTIONS & ASSOCIATED SIDE EFFECTS: